The Behavioural Science used exlensivety in PSM is-
1. Anthropology
2. Economics
3. Both
4. None

Correct answer: 1. Anthropology

Explanation: Ans. is'a' i.e., Anthropology Social sciences: Concerns those disciplines which are committed to the scientific examination of human behaviour. These include Economics Political science Sociology Social psychology Social anthropology Behavioural sciences : Deal directly with human behaviour. These include points 3,4 and 5.-4 Sociology, Social psychology, Social antropology.